Which is a cerebellar nucleus?
1. Caudate
2. Subthalamic
3. Globus pallidus
4. Dentate

Correct answer: 4. Dentate

Explanation: In cerebellum there are 4 deep nuclei: dentate globose emboliform, and fastigial nuclei. Ref: Ganong's review of medical physiology; 23rd edition; pg:255.